Ortolani's test is used to diagnose -
1. Congentital coxa vara
2. Slipped Capital femoral epiphysis
3. Developmental dysplasia of the hip
4. Perthe's disease

Correct answer: 3. Developmental dysplasia of the hip

Explanation: Ans. is 'c' i.e., Developmental dysplasia of the hip o Two commonly used clinical test for DDH/CDH are:-i) Barlow's testii) Ortolani's testo Barlow's test# Part 1 - Click sound (clunck) of dislocation on adduction.# Part 2 - Click sound (clunck) of reduction on abductiono Ortolanis test# Click sound (clunk) of reduction on abduction.Note:o If both Barlow's test and ortolani's test are given as options in the same question, go ahead with ortolani's test as some clinicians do not consider part 2 as Barlow's test.